Hyperesthesia over the region of 12th is called
1. Murphy’s sign
2. Boa's sign
3. Moynihan's sign
4. Aaron's sign

Correct answer: 2. Boa's sign

Explanation: Boa's sign is present in acute cholecystitis